Not a marker for muscle tumor
1. Desmin
2. Actin
3. Neurofilament
4. Intermediate filament

Correct answer: 3. Neurofilament

Explanation: Markers for smooth muscles tumor are : (t) Muscle specific actin, (ii) Intermediate filament, and (iii) Desmin. Neurofilament is a marker of neural tumors.